A 29-year-old woman was found to have a hemoglobin of 7.8 g/dl. with a reticulocyte count of 0.8%. The peripheral blood smear showed microcytic hypochromic anemia, Hemoglobin A2 and hemoglobin F levels were 2.4% and 1.3% respectively. The serum iron and the total iron binding capacity were 15 micro g/dl, and 420 micro g/dl, respectively. The most likely cause of anemia is –
1. Iron deficiency anemia
2. Beta-thalassemia minor
3. Sideroblastic anemia
4. Anemia due to chronic infection

Correct answer: 1. Iron deficiency anemia